Which of the following is not true regarding ETC-
1. Occurs in mitochondria
2. Generates ATP
3. No role of inorganic phosphate
4. Involves transport of reducing equivalent

Correct answer: 3. No role of inorganic phosphate

Explanation: Ans. is 'c' i.e., No role of inorganic phosphate o Inorganic phosphate (Pi) is required in ETC to generate ATP.ADP + Pi -- ATPo ETC occurs in mitochondria and involves transfer of reducing equivalent to generate ATP.